The cresecent forming forming glomerulonephritis is -
1. RPGN
2. Acute GN
3. Membranous GN
4. Membrano proliferative GN

Correct answer: 1. RPGN

Explanation: Distinctive lesions of proliferation are called crescents owing to their shape as they fill Bowman's space. Crescents are formed both by the proliferation of parietal cells and by the migration of monocytes/macrophages into Bowman's space. The glomeruli show cellular proliferation outside the capillary loops, sometimes in association with segmental capillary necrosis, breaks in GBM, and deposition of fibrin in Bowman's space. Ref:- Robbins book of basic pathology 10th Ed. pg 532.